True about Pityriasis rosea is –
1. Self limiting
2. Chronic relapsing
3. Life threatening infection
4. Caused by dermatophytes

Correct answer: 1. Self limiting

Explanation: Pityriasis rosea is thought to be a viral disease caused by HHV6/7, which is self limiting and subsides in 6-12 weeks.